Upper segment : lower segment ratio decreases in all of the following except?
1. Spondylo epiphyseal dysplasia
2. Alagille syndrome
3. Achondroplasia
4. Pott's disease

Correct answer: 3. Achondroplasia

Explanation: Upper segment : lower segment ratio increases in Achondroplasia- cause of short limb dwarfism. Short trunk dwarfism (US:LS ratio- decreases) Short limb dwarfism (US:LS ratio- increases) Short- Spondyloepiphyseal dysplasia Rickets Man- Mucopolysaccharidosis Achondroplasia May- Mucolipidosis Osteogenesis imperfecta Climb- Caries spine (pott's disease) Congenital hypothyroidism High- Hemivertebra Chondroectodermal dysplasia